Japanese encephalitis is transmitted by?
1. Culex
2. Aedes
3. Anopheles
4. Hard tick

Correct answer: 1. Culex

Explanation: ANSWER: (A) CulexREF: Park 20th ed p. 676Also asked in June 2011See APPENDIX-43 below for list of medically important "Mosquitos" APPENDIX - 43Mosquito AnophelesCulexAedesMansoniaA.K.A Nuisance mosquitoTiger mosquito Egg layingSingly on waterIn small dusters of 200-300 on waterSingly on damp soilIn star shaped clusters/Rafts on under surface of aquatic plantsEgg shapeBoat shaped2 Lateral floats +Trabeculated surface +Raft shape No lateral floatsCigar shapedNo lateral floatsStar shapedNo lateral floatsDesiccationCannot surviveCannot surviveCan surviveCannot surviveLarva (Wrigglers) 5-7 daysHorizontal floating Surface feeders.Mo siphon tubeHead down at an angle of 45deg parallel to the surface of 'water.Bottom feeders. Siphon tube 8th segment of abdomenHead down at an angle of 45deg parallel to the surface of water.Bottom feeders. Siphon tube 8th segment of abdomenHead down at an angle of 45'' parallel to the surface of water. Bottom feeders. Siphon tube 8th segment of abdomenPupa/T umblers 1-2 daysTrumpet/siphon tube broad & shortTrumpet/ siphon tube long & narrowTrumpet/ siphon tube long & narrowTrumpet/ siphon tube long & narrowAdult (2 weeks)Body inclined with surface at rest. Wings spotted Long palpi in both sexes.Body parallel to surface at rest. Wings not spotted. Short palpi in females.Body parallel to surface at rest. Wings not spotted. Short palpi in females.Body parallel to surface at rest.Wings not spotted. Short palpi in females.Feeding habitNight bitersNight biters Biting peak at MidnightDay time bitersNight bitersBreeding habitClean waterDirty and polluted waterArtificial collection of waterAquatic vegetationVector ofMalariaFilaria (not in India)Bancroftianfllariasis, Japanese encephalitis, west Nile feverYellow fever (not in India), Dengue, Chikungunya, Rift valley fever, Filaria (not in India)Malayan (Brugianfllariasis),ChikungunyaEggs hatch in 48 hoursPupa is resting stage, moves actively but do not feed Eggs to adult = 7-10 daysDuring growth, the larva molts (sheds its skin) four times. The stages between molts are called instars Life span of mosquito varies from 8-34 days (2 weeks average), males are short lived.Males never bite (feed on nectar). Females need blood meals every 2-3 days for development of eggs